Which of the following regarding chlamydia trachomatis is true -a) Gram negativeb) Susceptible to pencillinsc) Cause infertility d) Transmitted parenterally
1. ac
2. bc
3. ad
4. b

Correct answer: 1. ac